Sister Mary Joseph nodule is most commonly seen with
1. Ovarian cancer
2. Stomach cancer
3. Colon cancer
4. Pancreatic cancer

Correct answer: 2. Stomach cancer

Explanation: Carcinoma of stomach may spread the abdominal cavity to the umbilicus ( Sister Joseph's nodule) Bailey & Love,26th,1050.